Clinical signs of atropine Intoxication are all EXCEPT:
1. Decreased bowel sounds
2. Dry skin
3. scarlet flushing of face
4. Increased bowel sounds

Correct answer: 4. Increased bowel sounds

Explanation: Ref:KD Tripathi pharmacology 7th edition (page.no: 120) Atropine intoxication features are Dry mouth, dry skin, dry eye due to a decrease in the salivary, lacrimatory, sweat secretion (M3 blockade) Flushed, hot skin. Decreased bowel sounds due to M3 blockade (decrease tone and contraction of smooth muscle in the intestine) Difficulty in micturition Dilated pupil, blurring of near vision, photophobia Hypotension, weak and rapid pulse, cardiovascular collapse with respiratory depression Excitement, psychotic behaviour, ataxia, delirium, dreadful visual hallucinations